Clinical GOAl recommended by WHO for Prevention of CAD is
1. Cholesterol / LDL ratio
2. Cholesterol / HDL ratio
3. Triglycerides / LDL ratio
4. Triglycerides / HDL ratio

Correct answer: 2. Cholesterol / HDL ratio